Not a feature of dementia is
1. Loss of sensorium
2. Disturbances in language function
3. Wearing of dirty clothes
4. Loss of neurons in brain

Correct answer: 1. Loss of sensorium

Explanation: A i.e. Loss of Sensorium- Memory impairment (ex. forgetfulness) is typically an early & prominent feature in dementia.- No matter how severe the disorientation seems (d/t memory impairment),However, patients show no impairment in their level of consciousness.- Lability of emotions, sloppy grooming, uninhibited remarks, silly jokes or a dull, apathetic or vacuous facial expression & manner suggest dementia especially when coupled with memory impairment.